True about Cholecysto caval line is:
1. Separate right and left hepatic lobes
2. Separate gall bladder from IVC
3. Separate right anterior and right posterior
4. Separate Left medial and left Lateral

Correct answer: 1. Separate right and left hepatic lobes

Explanation: Ans. a. Separate right and left hepatic lobesThe functional right and left lobes of the liver are separated by an imaginary plane passing along the floor of fossa for gall bladder and the groove for inferior vena cava (cholecystocaval line).On the anterosuperior surface of the liver the plane passes little right to the attachment of falciform ligament. The functional right and left lobes of the liver are of more or less equal in size.